True about Boerhoeve's syndrome except
1. MC at lower 1/3rd
2. Hematemesis is early symptoms
3. Acute chest pain
4. Surgically treated

Correct answer: 2. Hematemesis is early symptoms

Explanation: Occurs classically when a person vomits against a closed glottis.The pressure in the oesophagus increases rapidly and the oesophagus bursts at its weakest point in the lower third. Bailey and Love 26 th ed, pg 992